Reticulocyte count in Hemolytic jaundice is greater than
1. 0.50%
2. I%
3. 1.50%
4. 2.50%

Correct answer: 4. 2.50%

Explanation: Ans. is 'd' i.e., 2.5%